Perforated impression tray are used for:
1. Alginate
2. Zinc oxide- eugenol
3. Agar-agar
4. Impression compound

Correct answer: 1. Alginate